Which of the following is a melanising agent?
1. Methoxsalen
2. Dapsone
3. Minocycline
4. Kojic acid

Correct answer: 1. Methoxsalen

Explanation: Ans. is 'a' i.e., Methoxsalen * Melanizing agents are drugs that increase sensitivity to solar radiation and promote re-pigmentation of de- pigmented areas of skin. Melanizing agents sensitize the skin to sunlight. As a result, erythema, inflammation and pigmentation occurs.* Psoralen is a natural drug obtained from the fruit of Psoralea corylifolia.* Methoxsalen and Trioxsaolan are synthetic psoralens. These drugs can be used either topically or orally.Note- Patients taking minocycline may develop a diffuse blue - grey, muddy appearance in sun exposed areas in addition to pigmentation of mucus membranes, teeth, nails, bones and thyroid. But it is not used as a melanising agent.